Prolonged treatment with INH leads to deficiency of?
1. Pyridoxine
2. Thiamine
3. Pantothenic acid
4. Niacin

Correct answer: 1. Pyridoxine

Explanation: Pyridoxine: Chemistry and source: Pyridoxine, Pyriodoxal and Pyridoxamine are related naturally occurring pyridine compounds that have vit B6 activity. Dietary sources are-liver, meat, egg, soybean, vegetables and whole grain . Absorption and fate: All three forms of the vitamin are well absorbed from the intestine. They are oxidized in the body and excreted as pyridoxic acid. little is stored. Physiological role and actions: Pyridoxine and pyridoxamine are readily oxidized to pyridoxal, which is then phosphorylated to pyridoxal phosphate. Isoniazid reacts with pyridoxal to form a hydrazone, and thus inhibits generation of pyridoxal phosphate. Isoniazid also combines with pyridoxal phosphate to interfere with its coenzyme function. Due to formation of hydrazones, the renal excretion of pyridoxine compounds is increased. Thus, isoniazid therapy produces a pyridoxine deficiency state.